“Inertization” deals with:
1. Mixing biomedical waste with cement and other   substance before disposal
2. Incineration of biomedical waste with cement and   other substance before disposal
3. Dumping of Biomedical waste in sanitary landfills
4. Screw feed technology to disinfect sharps

Correct answer: 1. Mixing biomedical waste with cement and other   substance before disposal

Explanation: The process of ‘Inertization’ involves mixing biomedical with cement and other substance before disposal, so as to minimize risk of toxic substances contained in waste to contaminate ground / surface water. Inertization is especially suitable for pharmaceuticals and for incineration ashes with high metal content
A typical composition of mixture is:

i) 65% pharmaceuticals waste
ii) 15% lime
iii) 15% cement
iv) 5% water